Child-Women ratio is the number of child per:
1. 1000 women
2. 1000 married women
3. 1000 women in reproductive age
4. 1000 married women in reproductive age

Correct answer: 3. 1000 women in reproductive age

Explanation: Ans. C: 1000 women in reproductive age There are a number of measures which are used to calculate the frequency of births. The simplest is the birth rate, more accurately the crude birth rate, which is the fraction, the numerator of which is the total number of births in a population during a given period and the denominator is the total number of person-years lived by the population during that period. The latter expression is generally approximated by the size of the population at the mid-point of the period multiplied by the length of the period in years. The rate is usually stated per 1,000. Like other rates in which the population at the mid-point of the period is used as the denominator of the fraction this is sometimes called the central birth rate. Where the term "birth rate" is used without qualification, the live birth rate is generally meant and only live births appear in the denominator. The total birth rate based on live births and late foetal deaths is sometimes calculated. Legitimate birth rates and illegitimate birth rates with legitimate and illegitimate births respectively in the denominator are computed and the illegitimacy ratio, the number of illegitimate births per 1,000 total births, is frequently used. These rates and ratios are generally based on live births. To compare the fertility of different populations, standardized birth rates are often used to eliminate the effect on the birth rate of certain differences in structure of the population (most commonly the age and sex structure). The child-woman ratio, most commonly the number of children aged 0 to 4 per 1,000 women of childbearing age, i.e., 15 or 20 to 44 or 49, is used as an index of fertility when reliable birth statistics are not available.